Cobra head  deformity is characterstic of
1. Posterior urethral valve
2. Carcinoma of bladder
3. Bladder tumor
4. Ureterocele

Correct answer: 4. Ureterocele

Explanation: A ureterocele is a congenital abnormality found in the ureter. In this condition the distal ureter balloons at its opening into the bladder,
forming a sac-like pouch. It is most often associated with a duplicated collection system, where two ureters drain their respective kidney instead of one.